Councilman bodies are seen in-
1. Alcoholic cirrhosis
2. Wilson's disease
3. Acute viral hepatitis
4. Autoimmune hepatitis

Correct answer: 3. Acute viral hepatitis

Explanation: Ans. (c) Acute viral hepatitis(Ref: Robbins 9th/pg 837)Councilman bodies: are intensely eosinophilic apoptotic hepatocytes with pyknotic nucleus, seen in acute viral hepatitis